All among the following are OCD related disorder except :
1. Skin picking
2. Temper tantrums
3. Hoarding disorder
4. Hair pulling disorder

Correct answer: 2. Temper tantrums

Explanation: Temper tantrums is not an OCD related disorder Obsessive- compulsive and related disorders are : OCD Skin picking disorder Hair pulling disorder Hoarding disorder Body Dysmorphic disorder